Bachelors' cast is used in ?
1. Fracture radius
2. Club foot
3. DDH
4. Fracture calceneum

Correct answer: 3. DDH

Explanation: Ans. is 'c' i.e., DDH In a case of DDH once the hip has been reduced by closed or open methods, following methods may be used to maintain the head inside the acetabulum : Plaster cast: a frog-leg or Batchelors cast. Splint: Von Rosen splint. Other important casts Name of the case Use Minerva cast Cervical spine disease Risser's cast Scoliosis Turn-buckle cast Scoliosis Shoulder spica Shoulder immobilisation U-slab Fracture of the humerus Hanging cast Fracture of the humerus Colle's cast Colles' fracture Hip spica Fracture of the femur Cylinder cast Fracture of the patella PTB cast Fracture of the tibia